Disease usually not seen in a country but brought from abroad is:
1. Endemic
2. Epidemic
3. Zoonotic
4. Exotic

Correct answer: 4. Exotic

Explanation: Exotic: Disease usually not seen in a country but brought from abroad. OTHER OPTIONS Zoonotic: A disease which is transmitted to man from animals e.g. Rabies, plague. Epidemic: when disease has exceeded it's normal expectancy. Endemic: Constant or continuous presence of a disease in a population.